Which of the following is not a feature of fetal alcohol syndrome?
1. Microcephaly
2. Low intelligence
3. Large proportionate body
4. Intrauterine growth retardation

Correct answer: 3. Large proportionate body

Explanation: Manifestations of foetal alcohol syndrome are are low IQ , microcephaly, growth retardation, and facial anomalies. Ref: KD Tripati 8th ed.